APACHE II Score includes:
1. Age
2. BP
3. Chronic Medical Condition
4. All of the above

Correct answer: 4. All of the above

Explanation: Answer is D (All of the above): APACHE II score includes Age, GCS, Physiological parameters (BP, Respiratory Rate, Pa02) and chronic medical conditions. APACHE II SCORE (Acute Physiological And Chronic Health Evaluation System) The APACHE II scoring system is the most commonly used severity of illness scoring system in North America The APACHE II score is recorded as the sum of the Acute physiology score (Vital signs, oxygenation, laboratory values), GCS, Age and Chronic health points as detailed in the following table.